Which does not form the border of heart in PA view of a chest X-ray?
1. Right atrium
2. Right ventricle
3. Aortic arch
4. Left Ventricle

Correct answer: 2. Right ventricle

Explanation: Ans- B Ref: Nelson's Textbook of Pediatrics 18th edition: page no 1865 Explanation: In a CXR PA view the Left border of Heart is formed by: "A.M.L" Aortic arch Main pulmonary artery Left pulmonary artery, Left atrial appendage, Left ventricle Right border of Heart is formed by: "S.I.R" SVC IVC Right Atrium Abnormal cardiac silhouettes "Boot-shaped" heart seen in cyanotic tetralogy of Fallot "Egg-shaped" heart seen in transposition of the great arteries. "Snowman" sign or Figure of '8' appearance seen in total anomalous pulmonary venous return (supracardiac TAPVC)